Inflammatory carcinoma is classified under
1. T4a
2. T4b
3. T4c
4. T4d

Correct answer: 4. T4d

Explanation: T1<= 2cm T2>2 cm but <= 5cmT3> 5cmT4aExtension to the chest wall (invasion of pectoralis only is not extension to the chest wall)T4bSkin involvement (including peau d'orange) that doesn't meet criteria of skin involvementT4cBoth T4a and T4b are presentT4dInflammatory carcinomaRef: AJCC 8th edition